Middle meningeal artery is branch of?
1. Maxillary artery
2. Mandibular
3. Facial artery
4. Ophthalmic artery

Correct answer: 1. Maxillary artery

Explanation: Middle meningeal artery is branch of Maxillary artery.